Which of the following drug does not act on neuromuscular junction?
1. Succinylcholine
2. Dantrolene
3. Vecuronium
4. Mivacurium

Correct answer: 2. Dantrolene

Explanation: Ans. (B) Dantrolene(Ref: Katzung 13th/e p467-468)Dantrolene is a directly acting muscle relaxant. It does not act at neuromuscular junction Neuromuscular blockersDepolarisingNon-depolarisingSChTubocurarineAtracuriumCis-atracuriumMivacuriumPancuroniumVecuroniumPipecuronium